Delirium tremens is characteristically seen in
1. Chronic alcoholism
2. B2 deficiency
3. B12 deficiency
4. Niacin deficiency

Correct answer: 1. Chronic alcoholism

Explanation: Chronic alcoholism